Which of the following is not included in essential jones criteria?
1. Throat culture positive
2. Rapid antigen streptococcal test positive
3. Anti-DNAase increased
4. History of scarlet fever

Correct answer: 4. History of scarlet fever

Explanation: JONES ESSENTIAL CRITERIA: 1.Throat culture positive 2.Rapid antigen streptococcal test positive 3.Antibodies increased(ASO titre or anti-DNAase increased) HISTORY OF SCARLET FEVER IS REMOVED FROM THE CRITERIA,IT WAS A PA BEFORE.